Acrylic resins are used for:
1. Anterior restorations
2. Temporary bridges
3. Denture bases
4. All of the above

Correct answer: 4. All of the above